Calcium channel blocker causing cerebral vasodilatation is:
1. Nimodipine
2. Felodipine
3. Amlod ipine
4. Nitrendi pine

Correct answer: 1. Nimodipine

Explanation: Ans. A: Nimodipine Nimodipine binds specifically to LAN/1)e voltage-gated calcium channels. Nimodipine penetrates blood-brain barrier very effectively due to high lipid solubility. It effectively relaxes cerebral vasculature; approved for prevention and treatment of neurological deficit due to cerebral vasospasm following subarchnoid hemorrhage or ruptured congenital intracranial aneurysms. Adverse effects particularly, in high dosage group (90 mg) includes itching, gastrointestinal hemorrhage, thrombocytopenia, neurological deterioration, vomiting, diaphoresis, congestive heart failure, hyponatremia, decreasing platelet count, disseminated intravascular coagulation and deep vein thrombosis.